Lung head ratio associated with good prognosis is:
1. <1
2. <1.4
3. >1
4. >1.4

Correct answer: 4. >1.4

Explanation: A useful index of severity for patients with left CDH is the lung-to-head ratio (LHR), which is the product of the length and the width of the right lung at the level of the cardiac atria divided by the head circumference (all measurements in millimeters). An LHR value of whereas an LHR of >1.4 predicts a more favourable outcome. The usefulness of the LHR in predicting outcome in patients with CDH has recently been questioned, due to the tremendous inter observer variability in calculating this ratio for a particular patient as well as the lack of reliable measures to determine postnatal disease severity. Ref: Schwartz's principle of surgery 9th edition, chapter 39.